True about Myeloma is all, EXCEPT
1. Plasma cell clonal proliferation
2. Common after 50 yrs of age
3. Amyloidosis can occur
4. Protein casts in urine are made up of complete Ig chains

Correct answer: 4. Protein casts in urine are made up of complete Ig chains

Explanation: Ans. is 'd' i.e., protein casts in urine are made up of complete Ig chains Protein casts in urine are made up of light chains only Complete Ig chain comprises of both heavy chain & light chain but in Multiple myeloma there is excess production of light chains over heavy chains. These light chains are eliminated in urine as Bence Jones Protein *.